Hemoglobin Portland is best defined as
1. Alpha 2 : Delta 2
2. Alpha 2 : Epsilon 2
3. Zeta 2 : Gamma 2
4. Zeta 2 : Epsilon 2

Correct answer: 3. Zeta 2 : Gamma 2

Explanation: Answer- C. Zeta 2 : Gamma 2Hb Gower I - Zeta 2 / epsilon 2Hb Portland - Zeta 2 / gamma 2Hb Gower II - Alpha 2 / epsilon 2